Which Anti glaucoma drug can induce pigmentation of iris?
1. Timolol
2. Prednisolone
3. Latanoprost
4. Olopatadine

Correct answer: 3. Latanoprost

Explanation: Ans. C. LatanoprostPGF2 analogsa. Latanoprost, bimatoprost, travoprost and unoprostoneb. Lower IOP by increasing aqueous outflow through uveo-scleral outflow pathway. Bimatoprost also increases trabecular outflowc. 1st line drugs due to their once-daily dosing, low incidence of systemic side effects, and potent IOP lowering effectd. Side effects (CLIP-D)e. C- Cystoid macular edema (more common in aphakic individuals)f. L-lengthening of eye lashesg. I - Inflammatory condition of eye like Uveitis, Keratitis, conjunctivitis can be worsenedh. P - pigmentation (brownish) of iris and lower eye lids (heterochromia iridis)i. D-Deepening of upper eyelid sulcus